Glycolytic enzymes (s) inhibited by fluoride:
1. Hexokinase
2. Aldolase
3. Enolase
4. Pyruvate Kinase

Correct answer: 3. Enolase

Explanation: C i.e. EnolaseFor blood glucose estimation in the laboratory, fluoride is added to the blood to prevent glycolysis by the cells by inhibiting 'enolase' so that blood glucose is correctly estimated.Q.